Most common cause of renovascular hypertension in children and young adults
1. Atherosclerotic disease
2. Fibromuscular dysplasia
3. Ectopic kidney
4. PCKD

Correct answer: 2. Fibromuscular dysplasia